All are true about Pseudomyxoma peritnonei except
1. Common in male
2. Associated with ovary tumours
3. Yellow jelly collection of fluids
4. Appendicetal adeno carcinoma

Correct answer: 1. Common in male

Explanation: .This rare condition occurs more frequently in women. The abdomen is filled with a yellow jelly, large quantities of which are often encysted. The condition is associated with mucinous cystic tumours of the ovary and appendix. Recent studies suggest that most cases arise from a primary appendiceal tumour with second- ary implantation on to one or both ovaries. Reference :Bailey & Love's short practise of surgery,25 th edition,page no:1003.